Orthotoluidine Arsenite test determines –
1. Free residual chlorine
2. Combined chlorine
3. Free and combined chlorine separately
4. Free and combined chlorine together

Correct answer: 3. Free and combined chlorine separately

Explanation: Orthotolidine -Aresenite (OTA) Test

This is a modification of the OT test to determine the free and combined chlorine residual separately.
Further, the errors caused by the presence of interfering substances such as nittrine, iron and manganese all of which produce a yellow colour with orthotolidine, are overcome by the OTA test.

Also know

Quickest and simplest method for free residual chlorine → Diethyl parpaphenylene Diamine (DPD) indicator test.
Free residual chlorine is a measure of the portability of water.